Pharmacovigilance is a branch of pharmacology concerned with:-
1. Monitoring of the drugs
2. Adverse effects of the drugs
3. Drug dosing
4. Drug clearance

Correct answer: 2. Adverse effects of the drugs

Explanation: Pharmacovigilance is the science of detection, assessment, understanding and prevention of adverse effects or any other possible drug-related problems